Rate of elimination of a new drug is 20mg/hr it is steady state plasma concentration of 10mg/L, then it's renal clearance will be
1. 0.5L/hr
2. 2.0L/hr
3. 5.0L/hr
4. 20L/hr

Correct answer: 2. 2.0L/hr

Explanation: Ref-Katzung 10/e p35 Clearance=Rate of elimination/plasma concentration 20mg/hr /10mg/L =2L/hr